Akinetic mutism is seen in lesion of which of the following lobes?
1. Parietal
2. Temporal
3. Occipital
4. Frontal

Correct answer: 4. Frontal

Explanation: Ans. D. Frontala. Akinetic mutism is a condition in which patient neither moves (akinesia) nor speak (mutism).b. It is the result of severe frontal lobe injury in which the pattern of inhibitory control is one of increasing passivity and gradually decreasing speech and motion.